Female patient with injury on her scalp, hair was shaved and sutures were put. On which day sutures should be removed?
1. 8-10 days
2. 2 weeks
3. 3 weeks
4. 1 month

Correct answer: 1. 8-10 days

Explanation: Ans. (a) 8-10 daysRef Sabiston 18th ed. 12134Scalp suture should be removed on 6th to 8th day. Given these options, 8-10 days is the best choice.Day of suture removal from different body areasBody areaSuture removal on* Scalp6-8 days* Face3-5 days* Chest, Abdomen8-10 days* Ear10-14 days* Extremities, back12 -14 days